Curling's ulcer in burns is seen in:
1. Esophagus
2. Stomach
3. Colon
4. Duodenum

Correct answer: 4. Duodenum

Explanation: Ans. Duodenum